Dean's shoe leather survey Comes under:
1. Demonstration phase.
2. Clinical discovery phase.
3. Epidemiological phase.
4. Clinical trial phase.

Correct answer: 3. Epidemiological phase.

Explanation: The history of community water fluoridation is categorized into four separate periods or phases.